Which is not a feature of Cushing syndrome?
1. Hypercoagulability
2. Eosinopenia
3. Hyperpigmentation of knuckles
4. Leucopenia

Correct answer: 4. Leucopenia

Explanation: Effects of Cushing syndrome on blood and immune system : Increased infection susceptibility Increased WBC count Eosinopenia Hypercoagulability with increased risk of DVT and PE